All the following are features of Pick's disease except:
1. Knife blade atrophy
2. Walnut brain
3. Ballooning degeneration
4. Hirano bodies

Correct answer: 4. Hirano bodies

Explanation: Ans: d (Hirano bodies)Ref: Robbin's, 7thed, p. 1390 & 6th ed, p. 1333Pick's disease-* Asymmetric atrophy of frontal and temporal lobes with conspicuous sparing of posterior two thirds of temporal lobe.* The atrophy can be severe, reducing the gyri to a thin wafer (Knife edge appearance)* Ballooning degeneration of neurons (Harsh mohan, 5th ed, p. 911)* Presence of pick bodies in neurons.* Absence of plaques and neurofibrillary tangles.